Treatment of choice for phylloides tumor
1. Excision
2. Radical mastectomy
3. Radiotherapy
4. Chemotherapy

Correct answer: 1. Excision

Explanation: Treatment of choice for phylloides tumor is excision or subcutaneous mastectomy is done if malignant, total mastectomy is done phylloides tumor also known as cystosarcoma phylloides/ serocystic disease of broide they are simply giant fibroadenoma ref ;(page no;521) 5th edition of SRB'S Manual of SURGERY